Clinical feature of 22q11 mutation syndrome include which of the following manifestation?
1. Hypercalcemia
2. Conotruncal abnormalities
3. Thymic hyperplasia
4. Dysmorphogenesis of the 1st and 2nd pharyngeal pouches

Correct answer: 2. Conotruncal abnormalities

Explanation: Chromosome 22q11.2 deletion syndrome Small deletion of band q11.2 on the long arm of chromosome 22 Congenital heart defects(conotruncal abnormalities) Abnormalities of the palate Facial dysmorphism Developmental delay Variable degrees of T-cell immunodeficiency and hypocalcemia -The patient suffering from DiGeorge syndrome -High risk of development of ADHD and Schizophrenia.